Epiphyseal plate fractures are classified by:
1. Herring's classification
2. Salter-Harris classification
3. Garden's classification
4. Pauwel's classification

Correct answer: 2. Salter-Harris classification

Explanation: Ans. B: Salter-Harris Classification Salter-Harris classification (Type with the structure involved): Type I: The entire epiphysis Type II: Entire epiphysis + portion of the metaphysis Type III: Portion of the epiphysis Type IV: Portion of the epiphysis +portion of the metaphysis Type V: Nothing "broken off;" compression injury of the epiphyseal plate